Coombs positive hemolytic anemia is associated with -
1. TTP
2. Malignant hypertension
3. SLE
4. HUS

Correct answer: 3. SLE

Explanation: Coombs +ve is seen in immune hemolytic anemias like in SLE, Scleroderma While in HUS ,TTP ,Malignant htn hemolysis is due to microangiopathy causing trauma to RBCs. Ref: Robbins 9/e vol 1 pg 643-644